A 12 hour old male child of a diabetic mother is brought to you with seizures, which of the following is the least likely cause?
1. Hypoglycemia
2. Hypocalcemia
3. Hypermagnesemia
4. Birth asphyxia

Correct answer: 3. Hypermagnesemia

Explanation: It is possible for babies of diabetic mothers to suffer from hypoglycemia, hypocalcemia & hypomagnesemia resulting in seizure. The exact mechanism of hypomagnesemia and hypocalcemia is not clear. Ref: Karla Philip, 3rd Edition, Page 296